The tetracycline with highest antileprotic activity is :
1. Minocycline
2. Doxycycline
3. Demeclocycline
4. Oxytetracycline

Correct answer: 1. Minocycline